Single gene defect causing multiple unrelated problems
1. Pleiotropism
2. Pseudodominance
3. Penetrance
4. Anticiaption

Correct answer: 1. Pleiotropism

Explanation: Pleiotropism : A gene that has multiple phenotypic effects It is a special interest because it helps in understanding the relationships between different organisms of the same individuals Examples: I. Drosophila bar eyed individuals may be significantly altered by the wing nature II. Seed coat colour gene of sweet pea controls flower colour and also red spot in leaf axils II. Sickle cell anemia in human . Reference: GHAI Essential pediatrics, 8th edition